Which of the following is not a tube test?
1. VDRL
2. Kahn test
3. Widal test
4. Paul bunnel test

Correct answer: 1. VDRL

Explanation: VDRL: Venerial disease Research Laboratory Test Ref: Ananthanarayana & panikers 9th edition